Basophillic leucocytosis occurs in -
1. AML
2. ALL
3. CML
4. CLL

Correct answer: 3. CML